A vitreous aspirate from a case of metastatic endophthalmitis on culture yields Gram-positive round to oval cells, 12-14 m in size. The aspirate on Gram staining shows the presence of pseudohyphae. Which of the following is the most likely aetiological agent ?
1. Aspergillus
2. Rhizopus
3. Candida
4. Fusarium

Correct answer: 3. Candida

Explanation: The history provided suggests that it is a case of disseminated fungal endophthalmitis
The fungal agent has morphology of yeast cells with pseudohyphae suggests diagnosis of Candida spp
Other options provided- Aspergillus, Rhizopus and Fusarium are molds/filamentous fungi